When prevalance increases, which of the following may be decreased-
1. Incidence
2. Duration
3. Death rate
4. None

Correct answer: 3. Death rate

Explanation: Ans. is `c' i.e., Death rate o Decreases in death rate may increase in prevalance because of prolongation of life in chronic disease. o Decreases in incidence or duration, causes decrease in prevalance